A patient was brought with coarse tremors, arousal, sweating, irritability and tachycardia. History of daily alcohol intake is present. The diagnosis is
1. Alcohol withdrawl
2. Delirium tremens
3. Korsakoff's psychosis
4. Opioid withdrawl

Correct answer: 1. Alcohol withdrawl

Explanation: Coarse tremors / tremulousness is the most common symptom seen after alcohol withdrawl. Arousal, sweating, irritability and tachy cardia are the other sympthoms seen after 6-8 hours of alcohol withdrawl.